Expansile lytic osseous metastases are characteristic of primary malignancy of
1. Kidney
2. Bronchus
3. Breast
4. Prostate

Correct answer: 1. Kidney

Explanation: Ans. is 'a' i.e. Kidney